Management of subclavian artery injury due to inadvertent central catheter insertion include all of the following except
1. Closure device
2. Mechanical Compression
3. Covering stent
4. Tract embolization

Correct answer: 2. Mechanical Compression

Explanation: Answer- B. Mechanical CompressionUse of arterial closure devices can be attempted, especially when the distance from the skin to the artery tract is less than 5 cm and access to the artery is still available. Tract embolization with Gelfoam can be employed.